Stiffening of body muscles after death due to ATP depletion:
1. Cadaveric spasm
2. Cadaveric rigidity
3. Hypostasis
4. Gas stiffening

Correct answer: 2. Cadaveric rigidity

Explanation: Ans. Cadaveric rigidity